Which of the following causative factors is not involved in the pathogenesis of Diabetic gangrene?
1. Infection
2. Myelopathy
3. Atherosclerosis
4. Osteoarthropathy

Correct answer: 2. Myelopathy

Explanation: Others Are Neuropathy, Microangiopathy, Glycosylation Of Hb And Proteins, Hyperglycemia